Which vaccine is given by subcutaneous route?
1. BCG
2. Measles
3. Rabies
4. DPT

Correct answer: 2. Measles

Explanation: The reconstituted measles vaccine is generally injected subcutaneously,but it also effective when administered intramuscularly (refer pgno:148 park 23rd edition)